Which of the following is the best test to diagnose bleeding in DIC?
1. Increased PT
2. Increased aPTT
3. Decreased fibrinogen
4. Increased fibrin degradation products

Correct answer: 4. Increased fibrin degradation products

Explanation: Fibrin degradation product (FDP) is the best test to diagnose bleeding in DIC. D-Dimer assay is for screening | PT & | aPTT seen in a lot of conditions - so not best.